Which of the following are slow reacting substances of anaphylaxis?
1. LTB4 and C4
2. LT A4 and B4
3. LT A4 and C4
4. LT C4 and D4

Correct answer: 4. LT C4 and D4

Explanation: Answer- D. LT C4 and D4Slow-reactine substance of anaohvlaxis (SRS-A)A mixture of the leukotrienes LTC4, LDD4 and LTE4 are called slow reacting substances of anaphylaxis (SRS-A).These are the most potent mediators causing bronchospasm.They are produced lipoxygenase pathway (LOX pathway) of arachidonic acid metabolism during inflammation.